For the following statements, select whether it is applicable to metoprolol and/or captopril.The effects on the heart result in a prominent negative inotropic effect
1. true of metoprolol but not captopril
2. true of captopril but not metoprolol
3. true of both captopril and metoprolol
4. true of neither captopril nor metoprolol

Correct answer: 1. true of metoprolol but not captopril

Explanation: Beta-blockers have a negative inotropic effect on the heart. Despite this they improve survival in patients with left ventricular dysfunction and heart failure.